Tube agglutination test is used for serological diagnosis for
1. Enteric fever
2. Rabies antigen
3. HIV
4. Syphilis

Correct answer: 1. Enteric fever

Explanation: Tube agglutination test is useful for serological diagnosis of enteric fever, typhus fever, infectious mononucleosis Ref: Textbook of Microbiology Baveja 5th ed Pg 120